Not a substrate for gluconeogenesis
1. Glycerol
2. Leucine
3. Lactate
4. Propionate

Correct answer: 2. Leucine

Explanation: Substrates for gluconeognesis Lactate All amino acids except leucine and lysine Pyruvate Propionate Glycerol Intermediates of citric acid cycle Alanine is the most important gluconeogenic amino acid. REF: Lippincott book of biochemistry 6th ed.